Biopsy of the parotid gland in a patient with Sjogren's syndrome shows -
1. Neutrophils
2. Lymphocytes
3. Eosinophils
4. Basophils

Correct answer: 2. Lymphocytes

Explanation: Robbins basic pathology 9th edition page no 132 Approximately 90%of sjogren syndrome cases occur in women between the ages of35 and45 years. Salivary glands are enlarged as a result of lymphatic infiltrates.